Who coined the term "Psychiatry"?
1. Johann Christian Reil
2. Sigmund Freud
3. Erik Erikson
4. Carl Jung

Correct answer: 1. Johann Christian Reil

Explanation: The term 'Psychiatry' was given by Johann Christian Reil Sigmund Freud is the father of psychoanalysis Eric Erikson gave an eight-stage psychosocial theory of development. According to this theory, development occurs in eight different stages, as a person gets older Carl Jung was a Swiss psychiatrist and psychoanalyst who founded analytical psychology.